Proportional mortality rate is :-
1. Rate
2. Ratio
3. Proportion
4. None

Correct answer: 3. Proportion

Explanation: Proportional Mortality Rate (PMR) x 100. Numerator is a part of the denominator & expressed in %. Hence, it is a proportion. Rate Ratio Proportion IMR Incidence Crude death rate MMR Sex ratio Relative risk Prevalence Case fatality rate Survival rate Proportional mortality rate